Acrodermatitis enteropathica is due to deficiency of
1. Zinc
2. Vitamin B3
3. Calcium
4. Vitamin B6

Correct answer: 1. Zinc